The chest X-ray view best suites for pleural effusion detection is:
1. AP view
2. PA view
3. Lateral decubitus view
4. Lateral view

Correct answer: 3. Lateral decubitus view

Explanation: Ans. Lateral decubitus view